Cofactor for glycogen phosphorylase
1. Thiamine pyrophosphate
2. Pyridoxal phosphate
3. Citrate
4. FAD

Correct answer: 2. Pyridoxal phosphate

Explanation: Pyridoxal phosphate is an essential cofactor for glycogen phosphorylase.